According to ICMR the most common cause of infant mortality is -
1. Prematurity
2. Diarrhoeal diseases
3. Congenital anomalies
4. Acute respiratory infection

Correct answer: 1. Prematurity

Explanation: Park's textbook of preventive and social medicine 23rd edition. * Most common cause of infant mortality rate are low birth weight (57%) and prematurity.